Craniotabes in children is seen with the following vitamin deficiency:
1. Vitamin D
2. Vitamin A
3. Vitamin E
4. Vitamin C

Correct answer: 1. Vitamin D

Explanation: In vitamin D deficiency, poor calcification of the skull bones results in craniotabes, a softening of the skull bones giving them a ping-pong ball feel. Clinical Manifestations of rickets: Rachitic rosary Craniotabes, frontal bossing Lateral bowing of lower extremities Widening of wrists, scoliosis, fractures Dental defects Rarely hypocalcemic seizures Early radiographic signs of rickets include widening of the epiphyseal plate and blurring of the epiphyseal and metaphyseal junction. Ref: Jen M., Yan A.C. (2012). Chapter 130. Cutaneous Changes in Nutritional Disease. In K. Wolff (Ed), Fitzpatrick's Dermatology in General Medicine, 8e.